Which of the metabolic abnormality is seen in multiple myeloma?-
1. Hyponatremia
2. Hypokalemia
3. Hypercalcemia
4. Hyperphosphatemia

Correct answer: 3. Hypercalcemia

Explanation: Multiple myeloma is a plasma cell neoplasm commonly associated with lytic bone lesions, hypercalcemia, renal failure and acquired immune abnormalities. Bone resorption leads to hypercalcemia. Reference : Robbins and Cotran Pathologic basis of disease.South Asia Edition volume 1.page no. 599